Endemic ascitis is associated with the following:
1. Pyrrolizidine
2. Aflatoxin
3. Sanguinarine
4. Beta oxalylamino alanine (BOAA)

Correct answer: 1. Pyrrolizidine

Explanation: Pyrrolizidine